BRCA-1 gene is located at what location of the chromosome?
1. 13p 12
2. 13q 12
3. 17p 21
4. 17q 21

Correct answer: 4. 17q 21

Explanation: BRCA-1 is located at - 17q 21
BRCA-2 located at - 13q 12